Regarding furosemide, true is
1. Given by parental route only
2. Used in pulmonary edema
3. Acts at PCT
4. Causes hypercalcemia

Correct answer: 2. Used in pulmonary edema